A new born presented with bloated abdomen shortly after birth with passing of less meconium. A full thickness biopsy rectal biopsy finding is most likely to be present.
1. Fibrosis of submucosa
2. Hyalinisation of the muscular coat
3. Thickened Muscularis propria
4. Lack of ganglion cells

Correct answer: 4. Lack of ganglion cells

Explanation: .hirschsprung disease is a congenital, familial condition, occurring in newborn due to the absence of ganglion cells-- Auerbach's and Meissner's plexus in anorectum, which may extend proximally either a part or full length of the colon. * It always involves the anus, internal sphincter and rectum (partly or entirely). * There is narrow, spasmodic, non relaxing pathological segment. * Transitional zone proximal to it contains only few ganglion cells with formation of cone. ref:SRB's manual of surgery,ed 3,pg no 818